20-year-old female present with features of anemia. Blood tests: Hb-5g/dL, MCV-52 fL, MCHC-20 g/dL, PCV-32%. Diagnosis
1. Phenytoin toxicity
2. Fish tape worm infection
3. Hook worm infection
4. Blind loop syndrome

Correct answer: 3. Hook worm infection

Explanation: Ans. (c) Hook worm infection(Ref: Robbins 9th/pg 649)The findings in the question are suggestive are Iron deficiency anemia. Hookworm infection can cause this among the given options.